Which of the following organisms is implicated in the causation of botryomycosis -
1. Staphylococcus aureus
2. Staphylococcus albus
3. Pseudomonas aeruginosa
4. Streptococcus pneumonia

Correct answer: 1. Staphylococcus aureus

Explanation: A mycetoma like condition called botryomycosis is caused by staphylococcus aureus.